Economic blindness is defined as:
1. Vision < 6/60 to 3/60
2. Vision < 3/60 to 1/60
3. Vision < 1/60 to Finger counting
4. No PL

Correct answer: 1. Vision < 6/60 to 3/60

Explanation: Economic Blindness: Vision < 6/60 to 3/60 Definitions:- * Economic Blindness: < 6/60-3/60 * Social Blindness < 3/60- 1/60 * Legal Blindness < 1/60 to perception of light